Which of the following cells are defective in chronic granulomatous disease?
1. Neutrophils
2. Lymphocytes
3. Plasma cells
4. Killer T cells

Correct answer: 1. Neutrophils

Explanation: Chronic granulomatosis results from neutrophils with a defective NAPDH oxidase system. This affects their ability to kill microorganisms, since they are unable to produce superoxide radicals.